Heterochromia iridis is a feature of:
1. Malignant melanoma of iris
2. Sympathetic paralysis
3. Glaucomatocyclitis crisis
4. All of the above

Correct answer: 4. All of the above

Explanation: Ans. All of the above